Wax pattern for casting is made up of
1. Inlay wax
2. Sticky wax
3. Modelling wax
4. Carnuba wax.

Correct answer: 1. Inlay wax